MC cause of anovulation is?
1. PCOS
2. Hyperprolactinemia
3. Premature ovarian failure
4. Low ovarian reserves

Correct answer: 1. PCOS

Explanation: Ans. is 'a' i.e.,PCOSAnovulation and ovulatory dysfunction can be caused by a number of factors.The most common cause of ovulatory dysfunction is polycystic ovarian syndrome, or PCOS.Other potential causes of irregular or absent ovulation:Obesity Underweight Extreme exerciseHyperprolactinemia Premature ovarian failure Perimenopause, or low ovarian reservesThyroid dysfunction Extremely high levels of stress